Increased gonadal production of estrogen is characteristic of
1. Testicular feminization
2. Polycycstic ovarian disease
3. Congenital adrenal hyperplasia
4. Third trimester of pregnancy

Correct answer: 1. Testicular feminization

Explanation: In persons with testicular feminization, estradiol secretion by the testes is markedly increased (but not to the level produced by normal ovaries); the mechanism is lack of suppression of LH by testosterone and consequently increased stimulation of gonadal testosterone and estradiol secretion. Ovaries containing follicle cysts may be a source of increased estrogen production, particularly during the postmenopausal years, when gonadotropin levels are very high. The increase in estrogen production that is characteristic of PCOD is the consequence of the peripheral conversion of androstenedione to estrogen, not of direct gonadal production. During the third trimester of pregnancy estrogen production is increased because of the formation of estrogen by the placenta rather than by the ovary. Arrhenoblastoma is a virilizing ovarian tumor and does not secrete estrogen. Congenital adrenal hyperplasia causes virilization due to the increased adrenal output of androgens.